Vasanti, 28-year-old, presents with complaints of tightness of fingers. There is also history of dysphagia. Which of the following is the probable diagnosis:
1. Dermatomyositis
2. Scleroderma
3. Rheumatoid arthritis
4. Polyarteritis nodosa

Correct answer: 2. Scleroderma

Explanation: Answer is B (Scleroderma) : The presence of tightness in fingers and dysphagia in a young female suggest a diagnosis of Scleroderma. Diagnosis of scleroderma in this patient is suggested by: Evidence of fibrosis of skin : Tightness of fingers. Evidence of visceral involvement : Esophageal motility or dysphagia Epidemiological characteristic : Peak incidence of scleroderma is seen in womene during the 3rd to 5th decade